All are involved in auditory pathway except ?
1. Trapezoid body
2. Lateral geniculate body
3. Inferior colliculus
4. Superior olivary complex

Correct answer: 2. Lateral geniculate body

Explanation: Ans. is 'b' i.e., Lateral geniculate body